Which appendix pain is referred to suprapubic region with pain on internal rotation of hip
1. Pre ileal
2. Pelvic
3. Post ileal
4. Paracolic

Correct answer: 2. Pelvic

Explanation: Answer- B. PelvicPelvic appendicitis can present withAbsence of abdominal wall rigidity and tendernessTenderness in retrovescial pouchHypogastric or suprapubic painObturator sign: pain on internal rotation of the hip